In deep incised wounds, langer's lines determine -
1. Direction
2. Gaping
3. Shelving
4. Healing

Correct answer: 2. Gaping

Explanation: The synopsis of forensic medicine & toxicology ; Dr k.s.narayan reddy ; 28th edition ; Pg.no.116 The pattern of fibre arrangement of dense network of intimately intermingled dermal collagen & elastic fiber is called the cleavage direction or lines of cleavage of skin & their linear representation on the skin are called "Langer's line " ,which are almost same in all person .A deep incised wound which cuts through cleavage lines transversely or obliquely will gap . Also refer Pg.no. 112